Following vaginal delivery, a patient developed profuse bleeding due to uterine atony. The amount of blood loss in postpartum haemorrhage is more than:
1. 200 mL
2. 400 mL
3. 500 mL
4. 700 mL

Correct answer: 3. 500 mL

Explanation: Postpartum hemorrhage has been defined as the loss of 500 mL of blood or more after completion of the third stage of labor. Blood loss during the first 24 hours after delivery is early postpartum hemorrhage; blood loss between 24 hours and 6 weeks after delivery is late postpartum hemorrhage. Causes of postpartum hemorrhage include uterine atony, obstetric lacerations, retained placental tissue, and coagulation defects. Ref: Poggi S.B. (2013). Chapter 21. Postpartum Hemorrhage & the Abnormal Puerperium. In A.H. DeCherney, L. Nathan, N. Laufer, A.S. Roman (Eds),CURRENT Diagnosis & Treatment: Obstetrics & Gynecology, 11e.